All structures pass through foramen ovale EXCEPT:
1. Accessory meningeal artery
2. Middle meningeal artery
3. Lesser petrosal nerve
4. Emissary vein

Correct answer: 2. Middle meningeal artery

Explanation: MALE’ structures pass through foramen ovale: Mandibular division of trigeminal nerve, Accessory meningeal artery, Lesser petrosal nerve, Emissary vein. 
Middle meningeal artery passes through foramen spinosum, along with nervus spinosus (branch of mandibular nerve).